The neuromuscular blocker that does not need a reversal of action by neostigmine at the end of the operation is:
1. d–Tubocurarine
2. Doxacurium
3. Pipecuronium
4. Mivacurium

Correct answer: 4. Mivacurium

Explanation: Long-acting non-depolarizing (competitive) NM blocking agents require reversal with neostigmine.
Mivacurium is the shortest acting NDMR. It does not require reversal due to its short duration of action.
Mivacurium can be used in day care surgery.